During post mortem period fracture of cervical spine is called?
1. Pond fracture
2. Signature fracture
3. Undertakers fracture
4. Hangman's fracture

Correct answer: 3. Undertakers fracture

Explanation: ANSWER: (C) Undertaker's fractureREF: Principles of Forensic Medicine and Toxicology Rajesh Bardale Page 130Rough handling of dead bodies by undertaker leads to fracture dislocation of C6-C7. This fracture dislocation is called as undertaker's fracture and may resembles antemortem injury.